All of the following are true regarding G-6PD deficiency except
1. A recessive X-linked trait
2. Females are commonly affected
3. Oxidative stress causes hemolysis
4. Protective against Palsmodium falciparum malariae

Correct answer: 2. Females are commonly affected

Explanation: G6PD deficiency is a X linked recessive disease common among males. G6PD deficiency is a genetic condition that is passed along from one or both parents to their child. The defective gene that causes this deficiency is on the X chromosome, which is one of the two sex chromosomes. Men have only one X chromosome, while women have two X chromosomes. In males, one altered copy of the gene is enough to cause G6PD deficiency. In females, however, a mutation would have to be present in both copies of the gene. Since it's less likely for females to have two altered copies of this gene, males are affected by G6PD deficiency much more frequently than females. Reference: GHAI Essential pediatrics, 8th edition